Type of collagen found in basement membrane is -
1. Type I
2. Type II
3. Type III
4. Type IV

Correct answer: 4. Type IV

Explanation: Ans. is 'd' i.e., Type IV Types of collageno There are at least 28 distinct types of collagen made up of over 30 distinct polypeptide chains Type I is the most abundant collagen The important ones are :-Type of collagenDistributionType ISkin, tendon, bone, corneaType IIArticular cartilage, intervertebral disc. Vitreous humorType HIFetal skin, cardiovascular systam, lung, reticular fiberTypeIVBasement membraneTypeVPlacenta, skin